In a normal curve, the area of one standard deviation around the mean includes which of the following per cent of values in a distribution -
1. 0.486
2. 0.683
3. 0.954
4. 0.997

Correct answer: 2. 0.683